Vegetations on undersurface of A.V. valves are found in -
1. Acute rheumatic fever
2. Limban Sach's endocarditis
3. Non thrombotic bacterial endocarditis
4. Chronic rheumatic carditis

Correct answer: 2. Limban Sach's endocarditis